Most crucial part of tuberculosis control programme is -
1. Contact tracing
2. BCG vaccination
3. Treatment of sputom positive cases
4. Treatment of X-ray positive cases

Correct answer: 3. Treatment of sputom positive cases

Explanation: Park's Textbook of Preventive and Social Medicine 23rd edition Page no: 182 Sputum smear examination by direct microscopy is now considered the method of choice. The reliability, cheapness and ease of direct microscopic examination have made it number one case finding method all over the world. It enables us to discover the epidemology most important cases of pulmonary tuberculosis